In Conn’s syndrome:
1. Most often, patients have elevated BP
2. Usual treatment of BP, treat almost all symptoms
3. Muscle twitching is not associated with it
4. All of the above

Correct answer: 1. Most often, patients have elevated BP

Explanation: → Most often, patients have higher than normal blood pressure.
→ The usual treatment for high blood pressure, doesn't generally help treat hyperaldosteronism. 
 
Signs such as, 

Lack of muscle strength 
Night time voiding 
Headache 
Increased thirst 
Muscle twitching and cramps 
Paralysis that comes and goes.